The PR interval in ECG denotes?
1. Atrial depolarization only
2. Atrial depolarization with A - V conduction
3. Ventricular depolarization and ventricular repolarization
4. Atrial depolarization with atrial repolarization

Correct answer: 2. Atrial depolarization with A - V conduction

Explanation: Atrial depolarization only - P- Wave Ventricular depolarization and ventricular repolarization - QT interval